False about osteoarthritis is
1. Involves Synovial joints
2. Progressive softening of the articular cartilage
3. It is an inflammatory arthritis
4. Marginal osteophytes are produced

Correct answer: 3. It is an inflammatory arthritis

Explanation: Osteoarthritis is a chronic disorder of Synovial joint in which there is progressive softening and disintegration of articular cartilage accompanied by new growth of cartilage and bone at the joint margins, cyst formation sclerosis in the Subchondral bone, mild antivirus and capsular fibrosis OA is primarily disease of cartilage. IL-1 is a potent pro-inflammatory cytokine, which capable of inducing chondrocytes and synovial cells to synthesize MM Ps. MMPs is responsible of degradation of articular cartilage. In addition, IL-1 inhibits synthesis of collagen II, proteoglycans and growth factor B stimulated chondrocyte proliferation symptoms : Pain increases with activity and worse at night. Morning Stiffness less than 30 mins Swelling Deformities Joint instability Loss of function Neurological signs if spine Involved. Crepitus Muscle wasting X-Rays are indicated to evaluate chronic hand pain and hip pain thought to be due to OA For knee pain, X-Ray should be obtained if symptoms or signs are not typical of OA or Pain persists after inauguration of effective treatment Treatment of OA: Pharmacotherapy .- Non Pharmacotherapy Patients with mild and intermittent symptoms may need only Non Pharmacotherapy Patients with ongoing, disabling pain are likely to need both Non Pharmacotherapy and Pharmacotherapy Refer Apleys 9th/e p 90